Influenza vaccine cause ?
1. Local swelling
2. Fever
3. Itching
4. All of above

Correct answer: 4. All of above

Explanation: Ans. is 'd' i.e., All of above Mild problems following inactivated flu vaccine: Soreness, redness, or swelling where the shot was given Hoarseness Sore, red or itchy eyes Cough Fever Aches Headache Itching Fatigue If these problems occur, they usually begin soon after the shot and last 1 or 2 days. Moderate problems following inactivated flu vaccine: Young children who get inactivated flu vaccine and pneumococcal vaccine (PCV13) at the same time may be at increased risk for seizures caused by fever. Ask your doctor for more information. Tell your doctor if a child who is getting flu vaccine has ever had a seizure. Problems that could happen after any vaccine: Brief fainting spells can happen after any medical procedure, including vaccination. Sitting or lying down for about 15 minutes can help prevent fainting, and injuries caused by a fall. Tell your doctor if you feel dizzy, or have vision changes or ringing in the ears. Severe shoulder pain and reduced range of motion in the arm where a shot was given can happen, very rarely, after a vaccination. Severe allergic reactions from a vaccine are very rare, estimated at less than 1 in a million doses. If one were to occur, it would usually be within a few minutes to a few hours after the vaccination.